Grynfeltt triangle not bounded by
1. 12th rib
2. Paraspinal muscles
3. Internal oblique muscle
4. External oblique muscle

Correct answer: 4. External oblique muscle

Explanation: Lumbar hernias- Hernias through the superior lumbar triangle (Grynfeltt triangle) are more common and bounded by the 12th rib, paraspinal muscles, and internal oblique muscle. Inferior Lumbar / Petit triangle- bounded by the iliac crest, latissimus dorsi muscle, and external oblique muscle.